Coxsackie group A commonly cause ?
1. Conjunctivits
2. Aseptic meningitis
3. Hepatitis
4. Myocarditis

Correct answer: 2. Aseptic meningitis

Explanation: Ans. is 'b' i.e., Aseptic meningitis . Aseptic meningitis is caused by all types group B Coxackies viruses and by many group 'A' Coxsakie viruses most commonly A7 and A9. About other options . Acute hemorrhagic conjuctivitis can be caused by Coxsackie virus A-24, but it is not common. Mostly it is caused by enterovirus - 70. . Myocarditis and hepatitis are mainly caused by Coxsackie virus group B.